Malleus develops from
1. 1st arch
2. 2nd arch
3. 3rd arch
4. Otic Capsule

Correct answer: 1. 1st arch

Explanation: Malleus and Incus develop from 1st arch.
Footplate of stapes develop from otic capsule.